Endophenotypic markers of schizophrenia include all except?
1. Smooth pursuit eye movement alterations
2. Saccadic eye movement disinhibition
3. Prepulse inhibition of startle response paradigm
4. P50 visual evoked potential

Correct answer: 4. P50 visual evoked potential

Explanation: Endophenotypic markers of schizophrenia include: Oculomotor abnormalities Smooth pursuit eye movement alterations Saccadic eye movement disinhibition Prepulse inhibition(PPI) of startle response paradigms Deficits in sensorimotor gating, measured with electroencephalography-based event-related potential (ERP): standardauditory"paired stimuli" paradigm, so called "P50" response amplitude.